Birbeck granules in the cytoplasm are seen in ?
1. Mast cells
2. Langerhan's cells
3. Thrombocytes
4. Myelocytes

Correct answer: 2. Langerhan's cells

Explanation: Ans. is 'b' i.e., Langerhan's cells